Which is a true statement regarding transcription of a gene in human cells?
1. Always begins at an AUG codon (which codes for methionine)
2. Does not require local unwinding of two DNA strands
3. Always "reads" the DNA template strand in the 3' to 5' direction
4. Occurs on only one of the two copies of each chromosome found in each cell

Correct answer: 3. Always "reads" the DNA template strand in the 3' to 5' direction

Explanation: Prokaryotic gene transcription always begins at an AUG codon, resulting in methionine (formylated) as the first amino acid in the newly synthesized protein, but human gene transcription does not. The two DNA strands must be unwound locally (where transcription is occurring). Both copies of each chromosome can serve as a template for RNA synthesis. RNA polymerase does not require a primer.